Not a sign of stellate ganglion block?
1. Miosis
2. Exopthalomos
3. Nasal congestion
4. Conjunctival redness

Correct answer: 2. Exopthalomos

Explanation: Ans. is 'b' i.e., Exopthalomos There is enophthalmos (not exophthalmos) Stellate ganglion block Stellate ganglion is formed by fusion of lower cervical and first thoracic ganglion. It is blocked anterior to the tubercle of transverse process of C6 vertebra i.e., chassaignac tubercle at the level of cricoid cartilage. Signs of successful block are : - Horner syndrome (miosis, ptosis, anhydrosis, enophthalmos, absence of ciliospinal reflex), flushing of face, conjuctival congestion, Nasal stuffiness (Gutman's sign), Injection of tympanic membrane (muller's syndrome), Increased skin temprature and lacrimation. Stellate ganglion block is indicated in : - Treatment of acute herpes zoster in the distribution of the trigeminal nerve, cervical and upper thoracic dermatomes. Acute vascular insufficiency of upper limb and face. Frost bite Reflex sympathetic dystrophy of face, neck and upper extremities. Raynaud's syndrome of upper extremities.